Diagnostic criteria for diabetes include all Except
1. A fasting plasma glucose >= 126 mg/dL
2. A random plasma glucose >= 200 mg/dL (in a patient with classic hyperglycemic signs)
3. 2-hour plasma glucose >= 200 mg/dL during an oral glucose tolerance test (OGTT) with a loading dose of 75 gm
4. A glycated hemoglobin (HbA1C) level >= 5.5%

Correct answer: 4. A glycated hemoglobin (HbA1C) level >= 5.5%

Explanation: Diagnostic criteria for diabetes include:1. A fasting plasma glucose >= 126 mg/dL, 2. A random plasma glucose >= 200 mg/dL (in a patient with classic hyperglycemic signs, as discussed later), 3. 2-hour plasma glucose >= 200 mg/dL during an oral glucose tolerance test (OGTT) with a loading dose of 75 gm, and4. A glycated haemoglobin (HbA1C) level >= 6.5%Impaired glucose tolerance (prediabetes) is defined as:1. A fasting plasma glucose between 100 and 125 mg/dL2. 2-hour plasma glucose between 140 and 199 mg/dL following a 75-gm glucose OGTT, and/or3. A glycated haemoglobin (HbA1C) level between 5.7% and 6.4%Robbins pathology pg: 1106